True statement regarding Prostate gland:
1. Only glandular tissue
2. Glandular tissue covered with transitional epithelium
3. Glandular tissue and fibromuscular stroma
4. Entire gland is composed of collagen

Correct answer: 3. Glandular tissue and fibromuscular stroma

Explanation: Ans. (c) Glandular tissue and fibromuscular stromaRef: Gray's anatomy, 39th ed./1302* The anterior part of the prostate is composed mainly of fibromuscular stroma, which is continuous with detrusor fibers.* Toward the apex of the gland, this fibromuscular tissue blends with striated muscle from the levator.* Pubosprostatic ligaments also blend with this area.